The causative microorganism of chromo-blastomycosis-
1. Cladosporium
2. Blastomyces
3. Sporothrix
4. Histoplasma capsulatum

Correct answer: 1. Cladosporium